Which diuretic acts without requiring access to renal tubular lumen
1. Thiazide
2. Carbonic anhydrase inhibitors
3. Aldosterone antagonists
4. Loop diuretics

Correct answer: 3. Aldosterone antagonists

Explanation: Mechanism of action of diuretics: Aldosterone antagonists: Aldosterone acts by combining with an intracellular mineralocorticoid receptor It induces the formation of aldosterone-induced proteins (AIP) . These AIPs promote Na+ reabsorption and K+ secretion Spironolactone is an aldosterone antagonist It acts from the interstitial side of the tubular cell It combines with Mineralocorticoid Receptor and inhibits the formation of AIPs